A 25-year-old male with a long history of severe asthma presents to the emergency room with shortness of breath. He has previously required admission to the hospital and was once intubated for asthma. Which of the following findings on physical exam would indicate a benign course?
1. Silent chest
2. Hypercapnia
3. Thoracoabdominal paradox (paradoxical respiration)
4. Pulsus paradoxus of 5 mmHg

Correct answer: 4. Pulsus paradoxus of 5 mmHg

Explanation: (Stobo, 23/e, p 143.) It is extremely important to accurately determine the severity of an exacerbation of asthma, since the major cause of death from asthma is the underestimation of the severity of a particular episode by either the patient or the physician. Silent chest is a particularly ominous finding, because the airway constriction is so great that airflow is insufficient to generate wheezing. Hypercapnia and thoraco- abdominal paradox are almost always indicative of exhaustion and respiratory muscle failure or fatigue and generally need to be aggressively treated with mechanical ventilation. An increased pulsus paradoxus may also be a sign of severe asthma, as it increases with greater respiratory effort and generation of more negative intrathoracic pressures during inspiration However, a pulsus paradoxus of up to 8 to 10 mmHg is considered normal; thus, a value of 5 mmHg would not be indicative of a severe episode of asthma.